All of the following are true about case control study except ?
1. Rapid and inexpensive
2. No risk to subjects
3. Risk factor can be identified
4. Less prone to bias

Correct answer: 4. Less prone to bias

Explanation: Ans. is 'd' i.e., Less prone to bias